Method of bacterial gene transfer where viruses play role:
1. Transduction
2. Conjugation
3. Translation
4. Transformation

Correct answer: 1. Transduction

Explanation: Ans. (a) TransductionRef: Microbiology by Ananthanarayan and Paniker 8th ed./ 61, 63* Transduction: transfer of genetic material from one bacterium to another by a bacteriophage.* Bacteriophages are viruses that parasites bacteria and consist of a nucleic acid core and a protein coat.